In patients with decompensated cirrhosis on diuretic therapy with tender gynaecomastia the best diuretic to substitute is:
1. Amiloride for spironolactone
2. Furosemide for spironolactone
3. Spironolactone for amiloride
4. Torsemide for spironolactone

Correct answer: 1. Amiloride for spironolactone

Explanation: Amiloride (10-40 mg/day) can be substituted for spironolactone in patients with tender gynecomastia. Amiloride is more expensive and less effective Ref: HEPATOLOGY, June 2009